Bharat Nirman Scheme was launched in:
1. 2004
2. 2005
3. 2006
4. 2007

Correct answer: 2. 2005

Explanation: It was launched for a four year period 2005-2009 for improvement of rural infrastructure. Ref: Health policies and programmes in India, D.K. Taneja 11th edition page: 393